Proinflammatory cytokines include all of the following except
1. IL1
2. IL10
3. IL6
4. TNF alpha

Correct answer: 2. IL10

Explanation: ref Robbins 8/e p56 ; cytokines and pain p3,9/e p86 the following are anti inflammatory cytokines-IL10,TGF-beta,IL _13 An inflammatory cytokine or proinflammatory cytokine is a type of signaling molecule (a cytokine) that is excreted from immune cells like helper T cells(Th) and macrophages, and certain other cell types that promote inflammation. They include interleukin-1(IL-1), IL-12, and IL-18, tumor necrosis factor alpha(TNF-a), interferon gamma (IFNg), and granulocyte-macrophage colony stimulating factor (GM-CSF) and play an important role in mediating the innate immune response. Inflammatory cytokines are predominantly produced by and involved in the upregulation of inflammatory reactions.